Number of muscles in middle ear
1. 1
2. 2
3. 3
4. 4

Correct answer: 2. 2

Explanation: The two muscles of middle ear are tensor tympani and stapedius. Both act simultaneously to damp down the intensity of high pitched sound waves and thus protect the internal ear. Notes: The tensor tympani is supplied by the mandibular nerve The stapedius is supplied by the facial nerve Ref BDC volume3,sixth edition pg 280